Onset of post spinal headache is usually at hours after spinal anesthesia
1. 0 - 6
2. 12-Jun
3. Dec-72
4. 72 - 96

Correct answer: 3. Dec-72

Explanation: Ans. is 'c' i.e., 12 - 72